which of th efollowing tyrosine kinase inhibitor is used in carcinoma of lung ?
1. afatinib
2. ceritinib
3. erlotinib
4. all of the above

Correct answer: 4. all of the above

Explanation: tyrosine kinase inhibitors : stop the cell division of cancer cells . as tyrosine kinase is a insulin growth factor that promotes the cellular divison drugs used in lung carcinoma : afatinib erlotinib ceritinib gefitinib ref : kd tripati 8th ed